A patient with DKA is being treated with insulin. What abnormality is likely to develop in this patient?
1. Hypocalcemia
2. Hypernatremia
3. Hyperkalemia
4. Hypokalemia

Correct answer: 4. Hypokalemia

Explanation: Insulin causes shift of K+ into cells leading to decrease in serum potassium. In a patient of DKA, there is already a K+deficit in the patient. Giving insulin therapy alone will cause severe hypokalemia. So a supplement potassium must be given along with it and K+levels must be closely monitored.